Colostrum is rich in:
1. IgA
2. IgE
3. IgG
4. IgM

Correct answer: 1. IgA

Explanation: Colostrum contains more antibodies (IgA), immunocompetent cells & vitamins A,D,E,K